Infantile autism is characterized by -
1. Impaired vision
2. Impaired Neurobehavioural development
3. Impaired folate level
4. All

Correct answer: 2. Impaired Neurobehavioural development

Explanation: Ans. is 'b' i.e., Impaired Neurobehavioural development o Autism is a neurological disorder. o It is more common in low socio-economic groups.